Most common agent responsible for Carcinoma Cervix is :
1. HPV 16
2. HPV 18
3. HPV 31
4. HPV 35

Correct answer: 1. HPV 16

Explanation: HPV is the primary cause of cervical carinoma High risk strains: 16, 18, 33, 35, 48 Type 16 is highly oncogenic causing invasive cancer, CIN 1 and 2 Reference : Textbook of Gynaecology; Sheila balakrishnan; 2nd edition; Pg no: 297